Meningioma arises from-
1. Extra dural arteries
2. Extra cranial muscles
3. Venous sinuses
4. Arachnoid cap cells

Correct answer: 4. Arachnoid cap cells